Which is not secreted by placenta ?
1. HPL
2. HCG
3. Prolactin
4. Progesterone

Correct answer: 3. Prolactin

Explanation: Prolactin